Best method to determine age upto 14 years is :
1. Ossification centres
2. Dentition
3. Anthropometry
4. Head circumference

Correct answer: 2. Dentition

Explanation: B i.e. Dentition